A 54-year-old woman is admitted to the hospital after falling from a tree with an outstretched hand. Radiographic examination reveals a wrist dislocation. Which of the following carpal bones will most likely be involved?
1. Scaphoid-lunate
2. Trapezoid-trapezium
3. Hamate-lunate
4. Pisiform-triquetrum

Correct answer: 1. Scaphoid-lunate

Explanation: The hallmark fracture caused by a fall on an outstretched hand is a scaphoid-lunate fracture; the scaphoid and lunate are the two wrist bones most proximal to the styloid process of the radius. All the other wrist bones are less likely to be affected by this injury.